Nude mouse is used in genetics because of the following properties -a) Absence of thymusb) Xenograft can be sustained for weeksc) Severe combined immunodeficiency mice is same as nude miced) they can generate mature T lymphocytes
1. ac
2. ab
3. ad
4. bc

Correct answer: 2. ab

Explanation: The genetic basis of nude mouse mutation is a disruption of the FOXN1 gene.
Characteristics of nude mouse mutation are:-


AR mutation of a nu locus on chromosome 11


Thymic aplasia


T-cell deficient
Normal B-cell function.
Phenotypically hairless.
Accepts xenograft and allograft transplantation
Insusceptible to graft-versus-host disease
No generation of cytotoxic effector cells


SCID mutation occurs on chromosome 16. SCID mouse has a thymus, lymph nodes and splenic follicles virtually devoid of lymphocytes.